In infant LRTI is MC caused by:
1. Streptococci
2. RSV Viruses
3. H. Influenza
4. Mycoplasma

Correct answer: 2. RSV Viruses

Explanation: RSV virus is m/c cause of bronchiolitis in Infants. Doc-Ribavirin. Epiglottis is most commonly caused by H. Influenzae.
 
Some Important points:
 
Encephalitis—>is the Inflammation of the brainparenchyma Meningitises an acute purulent infection with in the subarachnoid space. The meninges, the subarachnoid space and brain parenchyma are all frequently involved in the inflammatory reaction with meningoencephalitis. The most common cause of sporadic viral encephalitis → HSV -I
 
The most common cause of Epidemic viral encephalitis- Arbovirus
 
Japanese encephalitis virus is an arbovirus is one of the most common causes of encephalitis outbreak.
 
The most common cause of viral meningitis is ->
 
Enterovirus